Fibroblasts in tissue culture form interferon of type?
1. Alpha
2. Beta
3. Carona
4. All of the above

Correct answer: 2. Beta

Explanation: Ans. is 'b' i.e., Beta